Mondors disease is:
1. Migratory thrombophlebitis seen in pancreatic Ca
2. Thromboangitis obliterans
3. Thrombosis of deep veins of the leg
4. Thrombophlebitis of superficial veins of breast

Correct answer: 4. Thrombophlebitis of superficial veins of breast

Explanation: Ans: D (Thrombophlebitis of superficial veins of breast) Ref: Bailey dt Love's Short Practice of Surgery, 25th Edition,833-4Explanation:Mondor's diseaseThrombophlebitis of the superficial veins of the breast and anterior chest wallCan also involve armCauseIdiopathicClinical featuresThrombosed subcutaneous vessel , usually attached to the skin - pathognomonic feature.When the skin over the breast is stretched by raising the arm. a narrow, shallow subcutaneous groove alongside the cord becomes apparent.Differential DiagnosesLymphatic permeation from occult carcinomaManagementConservativeRestriction of arm movements is advised.Resolv es within few months without any complicationAssociation with breast carcinoma is Coincidental